Drug which causes hypothyroidism is ?
1. Carbamezapine
2. Lithium
3. Sulphur
4. Methotrexate

Correct answer: 2. Lithium

Explanation: Ans. is 'b' i.e., Lithium